Brown macular pigmentation in malar area in a pregnant female is due to ?
1. Acne rosacea
2. Cholasma
3. Acanthosis nigricans
4. Uicaric pigmentosa

Correct answer: 2. Cholasma

Explanation: Ans. is `b' i.e., Cholasma Chloasma (Melasma) Melasma (Chlosma) is the most common cause for facial pigmentation in Indian patients. There is Brown macular pigmentation on the molar area of face, forehead and sometimes chin. It usually affects young and middle aged women. When melasma results from pregnancy it is referred as chloasma. Two major etiological factors are : - Hormonal (estrogen) --> Appears in pregnancy or in person on OCPs. Sun exposure ---> Especially UVB. For treatment Combination of topical hydroquinone (2-4%), retinoic acid and a topical corticosteroids. Other drugs are --> Glycolic acid (4-10%), Azelic acid, topical vitamin C.